All of the following diseases are due to excessive number of glutamine residues in proteins, EXCEPT
1. Huntington's chorea
2. Spinocerebellar ataxia
3. Myotonic dystrophy
4. Spinobulbar muscular atrophy

Correct answer: 3. Myotonic dystrophy

Explanation: CAG codes for glutamine Poly Q disorders Those diseases which are due to CAG repeat Eg : Spinobulbar muscular atrophy (Kennedy disease), Spinocerebellar ataxia Huntington's disease Myotonic dystrophy is due to | CTG repeat, not CAG.